The cyclical flexion and extension motions of a leg during walking result from activity at which level of the nervous system?
1. Cerebral cortex
2. Cerebellum
3. Globus pallidus
4. Spinal cord

Correct answer: 4. Spinal cord

Explanation: The spinal cord has the intrinsic circuitry in the form of central paftern generators to produce the basic motions of walking.